Gettler's test is positive in
1. Hanging
2. Drowning
3. Strangulation
4. Firearm injury

Correct answer: 2. Drowning

Explanation: B i.e. Drowning Gettler test is done for drowningQ. Gettler's test estimate chloride content of blood from both sides of heart - Normally the chloride content is equal in the right & left chambers of the heart 600 mg/100 ml). In fresh water drowning due to hemodilutione the chloride content is decreasedQ and in Salt water drowning due to hemoconcentrationQ the chloride content is increased in left side of heartQ - A 25% difference in chloride is significant but the test is of ,fintlitnt/ - Limitations of Gettler test 1. No value in atypical drowningQ; congenital cardiac defectsQ as shunts & patent foramen ovale; and if drowning medium contains same amount of chlorideQ 2. There is progressive loss of Cl- from blood after death. Therefore the test has to be made within a reasonably short time after deathQ